A 48 years old woman presents with vulval pruritus. On examination, there is erythema of external genitalia. She is a known diabetic for 10 years. Her HbAlc level reduced to 6.6% when compared to previous value of 7.8% four months ago. The medication most probably responsible for her symptoms is
1. Sitagliptin
2. Canaglifozin
3. Acarbose
4. Exenatide

Correct answer: 2. Canaglifozin

Explanation: Answer: b) Canaglifozin. Refer previous question.